All are the parts of anterior segments of eye except
1. Lens
2. Cornea
3. Vitreous
4. Aqueous

Correct answer: 3. Vitreous

Explanation: Anterior segment includes lens and structures anterior to it. Crystalline lens Iris Cornea Two aqueous humour-filled spaces : anterior and posterior chambers. Posterior segment includes the structures posterior to lens Vitreous humour Retina Choroid Optic disc Reference : A.K.Khurana; 6th edition; Page no:4